Gastro-intestinal hormone in the following is
1. Pepsin
2. Ptyalin
3. Cholecystokinin
4. Trypsin

Correct answer: 3. Cholecystokinin

Explanation: Option 'A' Pepsin is a proteolytic enzyme in gastric juice. Option 'B' Ptyalin or amylase is an amylolytic (carbohydrate splitting) enzyme in saliva. Option 'D' Trypsin is a proteolytic enzyme in pancreatic juice.
Cholecystokinin-Pancreozymin is a gastro-intestinal hormone that has actions on both pancreas and gall bladder.